Radionucleide scan used for diagnosis of Meckel's diverticulum is
1. Technitium 99 Pertechnate scan
2. Gallium scan
3. DOTA scan
4. None of the above

Correct answer: 1. Technitium 99 Pertechnate scan

Explanation: Technitium 99 Pertechnate scan used to diagnose Meckel's diverticulum.
Normal gastric mucosa takes up the scan.
Ectopic gastric mucosa in Meckel's diverticulum can also be seen.